Most common type of hallucinations seen in alcoholic hallucinosis are
1. Visual hallucinations
2. Auditory hallucinations
3. Tactile hallucinations
4. Reflex hallucinations

Correct answer: 2. Auditory hallucinations

Explanation: Alcoholic hallucinosis occurs after 24 - 48 hours of alcohol withdrawl characterized by Auditory hallucinations.
Where as visual hallucinations are more commonly seen in case of "Delirium tremens".